Middle aged female with mass in sella turcica hormone increased is
1. Prolactin
2. Thyroxine
3. Extrogen
4. ADH

Correct answer: 1. Prolactin

Explanation: The sella turcica is a saddle shaped depression of the sphenoid bone.
 It forms the caudal border of the pituitary> gland. Sella turcica is an anatomically complex area with a number of different potenal pathologies especially neoplasc process.
Pathologies of sella turcica can lead to important clinical presentaons such as hormonal imbalances from pathologies affecng the pituitary gland and neurological symptoms from the mass effect,
Sella turcica is crically located as several structures pass close to it due to compression of the adjacent structures.